Which of the following ECG changes is least likely in a patient with left pneumothorax-(/irt//rTMS
1. Inversion of Twave
2. Left axis deviation
3. Small R wave
4. Electrical altemans

Correct answer: 2. Left axis deviation

Explanation: Abnormal left axis deviation was found with left-sided warts pneumothorax .Relevant QRS abnormalities (incomplete RBBB and T-wave inversion)inRt (10%). QRS amplitude in V2-V6 leads was significantly decreased in left-sided pneumothorax. Ref Harrison 20th edition pg 1536